Menstrua] blood stored in vagina:
1. Pyometra
2. Hematometra
3. Hematocolpos
4. Hematosalphinx

Correct answer: 3. Hematocolpos

Explanation: Ans. (c) HematocolposRef.: Shaws 15th ed. 196-98* Hematocolpos is a medical condition in which the vagina fills with menstrual blood. It is often caused by the combination of menstruation with an imperforate hymen.* Hematometra: A related disorder is, where the uterus is filled with menstrual blood.* Pyometra: a type of uterine infection. Disease of the dogs, but has been also noted in humans.* Hematosalphinx: bleeding and collection of blood in fallopian tube. MCC is tubal (ectopic) pregnancy.